Which one of the following TCA cycle intermediate may not be added or removed by other metabolic pathways?
1. Oxaloacetate
2. Isocitrate
3. Citrate
4. Fumarate

Correct answer: 2. Isocitrate

Explanation: Oxaloacetate may be formed from pyruvate during gluconeogenesis. Degradation of tyrosine and phenylalanine may produce fumarate. Citrate is transported out of mitochondria to be used as a source of cytoplasmic acetyl CoA. Isocitrate is formed and removed in TCA cycle. Ref: Textbook of Biochemistry for Medical Students by D.M. Vasudevan, 6th Edition, Page: 218